For a term small for date baby, true is ?
1. No nipple nodule
2. No palmar/plantar crease
3. Weight less than 10th percentile
4. Hyperbilirubinemia

Correct answer: 3. Weight less than 10th percentile

Explanation: Ans. is 'c' i.e., Weight less than 10th percentile First let me differentiate the following three terms i) Low birth weight neonates ii) Preterm infant (Premature infant) iii) Small for gestational age (small for date) i) Low birth weight Any neonate weighing less than 2500 gms at birth irrespective of the gestational age. ii) Preterm infant (premature infant) Any neonate born before 37 weeks of gestation irrespective of the birth weight. Because birth weight is a function of gestation, a preterm baby is expected to have less weight. iii) Small for date (IUGR) Babies with a birth weight less than 10 percentile for that gestational age. These may be preterm (born before 37th week) or term (born between 37 to 42 weeks). o So, both preterm infant and small for date neonate have low birth weight. Low birth weight neonates will have following problems - i) Problems of small for date babies ii) Problems of preterm babies